After coming head of breech will have difficulty in delivery in all of the following conditions except:
1. Hydrocephalus
2. Placenta previa
3. Incomplete dilation of cervix
4. Extension of head

Correct answer: 2. Placenta previa